Complete circumferential and peripheral deep margin assessment is known as:
1. MOH's surgery.
2. SHAWN’s procedure
3. Both
4. None

Correct answer: 1. MOH's surgery.